Gradenigo's syndrome is characterized by the following EXCEPT
1. Deafness
2. Retro-orbital pain
3. Ear discharge
4. Diplopia

Correct answer: 1. Deafness

Explanation: Ans a (deafness). (Ref. Diseases of ENT, PL Dhingra, 3rd ed., 103)Petrositis is spread of infection from middle ear and mastoid to petrous part of temporal bone.GRADENIGO'S SYNDROME is classical presentation of petrositis and it consists of triad of;1. 6th cranial nerve palsy2. Persistent ear discharge3. Retro-orbital/deep seated pain (Vth cranial nerve palsy)